Hydrocele is labelled `vaginal'when it is
1. Limited to scrotum
2. Upto inguinal canal
3. Communicating into coelomic cavity
4. Upto deep inguinal ring

Correct answer: 1. Limited to scrotum